Most characteristic feature of acute inflammation is:
1. Vasoconstriction
2. Vascular stasis
3. Vasodilatation and Increased vascular permeability
4. Margination of Leucocytes

Correct answer: 3. Vasodilatation and Increased vascular permeability

Explanation: Increased vascular permeability leading to the escape of protein rich fluid into the interstitium is the hallmark of acute inflammation. Ref: Robbins pathologic basis of disease 6th edn/page 53.